A young patient presents with a massive injury to proximal duodenum, head of pancreas and distal common bile duct. The procedure of choice in this patient should be :
1. Roux-en-Y anastomosis
2. Pancreaticoduodenectomy(Whipple's operation)
3. Lateral tube jejunostomy
4. Retrograde jejunostomy

Correct answer: 2. Pancreaticoduodenectomy(Whipple's operation)